Structure preserved in Modified radical mastectomy is:
1. Axillary vein
2. Pectoralis major muscle
3. Nerves to serratus anterior
4. All of the above

Correct answer: 4. All of the above

Explanation: Ans. D: All of the above